To give field block the LA should be deposited near
1. Main trunk
2. Large branch of peripheral nerve
3. Small nerve endings
4. Periodontal ligament

Correct answer: 2. Large branch of peripheral nerve